Vit–D deficiency Rickets is Characterised by –a) ↑ed forehead sweatingb) Characteristically ↓ed Ca2+c) Anterior fontanel widenedd) ↑ed alk. phosphatase
1. ab
2. bc
3. cd
4. ac

Correct answer: 3. cd